Which has the highest cholesterol content?
1. HDL
2. LDL
3. VLDL
4. Chylomicron

Correct answer: 2. LDL

Explanation: LDL contains cholesterol as the main lipid component. A positive correlation exists between the incidence of atherosclerosis and the plasma concentration of LDL cholesterol. The LDL (apoB-100, E) receptor is defective in familial hypercholesterolemia, a genetic condition which blood LDL cholesterol levels are increased, causing premature atherosclerosis. HDL concentrations vary reciprocally with plasma triacylglycerol concentrations and directly with the activity of lipoprotein lipase. This may be due to surplus surface constituents, eg, phospholipid and apo A-I, being released during hydrolysis of chylomicrons and VLDL and contributing toward the formation of pre-HDL and discoidal HDL. HDL2 concentrations are inversely related to the incidence of atherosclerosis, possibly because they reflect the efficiency of reverse cholesterol transport. Ref: Botham K.M., Mayes P.A. (2011). Chapter 25. Lipid Transport & Storage. In D.A. Bender, K.M. Botham, P.A. Weil, P.J. Kennelly, R.K. Murray, V.W. Rodwell (Eds), Harper's Illustrated Biochemistry, 29e